Endocervicat curettage shows malignant cells in a 40 year old lady. Next line of management is :
1. Cone biopsy
2. Pap smear
3. Colposcopy
4. Repeat procedure and if positive hysterectomy is done

Correct answer: 1. Cone biopsy

Explanation: Cone biopsy